Vector of trench fever
1. Louse
2. Tick
3. Mite
4. Rat flea

Correct answer: 1. Louse